All are present in dense granules of platelets except
1. ADP
2. VWF
3. Calcium
4. Serotonin

Correct answer: 2. VWF

Explanation: VWF is present in alfa granules of platelets and is associated with clotting Dense granules contains nucleotides,bioactive amines,cations,polyphosphates Ref:Guyton and Hall textbook of medical physiology 12th edition,page number:142,143,144